Heterotopic pregnancy-
1. Incidence is 10%
2. Has no association to assisted reproductive techniques
3. Has two extrauterine gestational sacs
4. Has one gestational sac in fallopian tube and other intrauterine

Correct answer: 4. Has one gestational sac in fallopian tube and other intrauterine

Explanation: Ans. is D' Has one gestational sac in fallopian tube and other intrauterine Heterotopic pregnancy o It is the rare simultaneous existence of intrauterine and extrauterine gestational sacs. o It is a rare complication of multiple pregnancy, but its incidence increases to 1 % of the pregnancies following assisted reproductive techniques. A heterotopic pregnancy is a rare complication of pregnancy in which both extra-uterine (ectopic pregnancy) and intrauterine pregnancy occur simultaneously. It may also be referred to as a combined ectopic pregnancy, multiple-sited pregnancy, or coincident pregnancy.